Thalidomide can be used in -
1. Myocardial infraction
2. Erythema nodosum leprosum
3. Wernicke's encephalopathy
4. Epilepsy

Correct answer: 2. Erythema nodosum leprosum

Explanation: Ans. is 'b' i.e., Erythema nodosum laprosum